Which muscle is called as peripheral heart:
1. Soleus
2. Popliteus
3. Gastrocnemius
4. Quadriceps Femoris

Correct answer: 1. Soleus

Explanation: Ans. A. SoleusThe soleus is a powerful muscle in the back part of the lower leg (the calf). It runs from just below the knee to the heel, and is involved in standing and walking. It is closely connected to the gastrocnemius muscle and some anatomists consider them to be a single muscle, the triceps surae. Also, in upright posture, the soleus is responsible for pumping venous blood back into the heart from the periphery, and is often called the skeletal-muscle pump, peripheral heart.